Tooth movement easily accompanied by use of removable
orthodontic appliance is
1. Translation
2. Tipping
3. Rotation
4. Extrusion

Correct answer: 2. Tipping